Microscopical appearance of cervical mucus after ovulation is:
1. Shows pattern on drying
2. Is thick
3. Is thin and cellular
4. Is thin and alkaline

Correct answer: 2. Is thick

Explanation: The fern test can determine the presence or absence of ovulation or the time of ovulation. When cervical mucus is spread on a clean, dry slide and allowed to dry in air, it may or may not assume a frondlike pattern when viewed under the microscope. The fern frond pattern indicates an estrogenic effect on the mucus without the influence of progesterone; thus, a non-frondlike pattern can be interpreted as showing that ovulation has occurred. Progesterone makes the mucus thick and cellular. Ref: Kawada C., Hochner-Celnikier D. (2013). Chapter 35. Gynecologic History, Examination, & Diagnostic Procedures. In A.H. DeCherney, L. Nathan, N. Laufer, A.S. Roman (Eds), CURRENT Diagnosis & Treatment: Obstetrics & Gynecology, 11e.